TRALI occurs within how many hours of transfusion?
1. 6 hours
2. 12 hours
3. 48 hours
4. 72 hours

Correct answer: 1. 6 hours

Explanation: TRALI is defined as Transfusion Associated Acute Lung injury (ALI) that occurs within 6 hours of transfusion with the majority of patients developing clinical features within 1-2 hours of transfusion (Usually 1 to 2 hours but up to 6 hours) Ref: Harrisons 20th edition